Chromosome for ABO gene is?
1. 9q
2. 10p
3. 11q
4. 12p

Correct answer: 1. 9q

Explanation: Ans is 'a' i.e. 9q * The ABO gene (Histo-blood group ABO system transferase enzyme) resides on chromosome 9 at the band 9q34.2.Also know* Gene for Rh antigen is located on Chromosome-1